Adrenal hyperplasia due to 21 hydroxylase deficiency is treated with low dose –
1. Androgen
2. Estrogen
3. Cortisone
4. Anti – androgen

Correct answer: 3. Cortisone

Explanation: Cortisol deficiency is treated with glucocorticoids.
Hydrocortisone is given.

Note - For prenatal treatment dexamethasone is given.